Vitamin a dose in children of 1-6 years of age is
1. 50000 IU
2. 1 Lakh IU
3. 2 Lakh IU
4. 4 Lakh IU

Correct answer: 3. 2 Lakh IU

Explanation: For treatment of vitamin A deficiency, oral vitamin A is given at a dose of 50000IU, 100000IU and 200000IU in children <6 months, 6-12 months and >1 year, respectively. The same dose is repeated next day and 4 weeks later.(Refer: Nelson's Textbook of Pediatrics, SAE, 1st edition, pg no. 320)